Ligamentum teres is formed after :
1. Obliteration of the umbilical vein
2. Obliteration of the ductus venous
3. Obliteration of the ductus arteriosus
4. Obliteration of the hypogastric artery

Correct answer: 1. Obliteration of the umbilical vein

Explanation: Intraabdominal remnants of Umbilical vein forms the ligamentum teres. The more distal portions of the hypogastric arteries,which course from the level of the bladder along the abdominal wall to the umbilical ring and into the cord as umbilical arteries,undergo atrophy and obliterates within 3-4 days after birth, becomes umbilical ligaments. The Ductus venosus constricts by 10-96 hours after birth and is anatomically closed by 2-3 weks, resulting in the formation of ligamentum venosum. Reference: William's Textbook of Obstetrics 4th edition, page 137